Define Baseline variability in electronic fetal monitoring?
1. The mean FHR rounded to increments of 5bpm during a 10min segment
2. Fluctuations in the baseline FHR that are irregular in amplitude and frequency
3. A visually apparent abrupt increase in the FHR
4. Visually apparent symmetrical gradual decrease in the FHR

Correct answer: 2. Fluctuations in the baseline FHR that are irregular in amplitude and frequency

Explanation: Electronic fetal monitoring Definitions:Baseline: The mean FHR rounded to increments of 5bpm during a 10min segment excluding a. Periodic or episodic changes, b. Periods of marked FHR variability, c. Segments of baseline that differ by more than 25bpmBaseline variability: Fluctuations in the baseline FHR that are irregular in amplitude and frequency. Normal: 6-25bpmAcceleration: A visually apparent abrupt increase in the FHRAt 32weeks and beyond, an acceleration has a peak of 15bpm or more above baseline, with a duration of 15seconds or more but less than 2min from onset to returnBefore 32weeks, an acceleration has a peak of 10bpm or more above baseline, with a duration of 10seconds or more but less than 2min from onset to returnDeceleration: Early deceleration: Characteristics include a gradual decline in the heart rate with both onset and recovery coincident with the onset and recovery of the contraction. The nadir of the deceleration is 30 seconds or more after the deceleration onsetLate deceleration: Characteristics include a gradual decline in the heart rate with the contraction nadir, and recovery occurring after the end of the contraction. The nadir of the deceleration occurs 30 seconds or more after the onset of the decelerationVariable deceleration: Characteristics include an abrupt decline in the heart rate and onset that commonly varies with successive contractions. The decelerations measure >= 15 bpm for >= 15 seconds and have an onset-to-nadir phase of < 30 seconds. Total duration is < 2 minutes. (Ref: William's Obstetrics; 25th edition)